Pacemaker of respiration?
1. Dorsal nuclear group
2. Apneustic centre
3. Pnemotaxic centre
4. Pre Botzinger complex

Correct answer: 4. Pre Botzinger complex

Explanation: D i.e. Pre Botzinger complex